Declaration of oslo deals with -
1. Organ donation
2. Right to death
3. Therapeutic abortion
4. Human experiments

Correct answer: 3. Therapeutic abortion

Explanation: Ans. is 'c' i.e., Therapeutic abortion Declaration of GenevaScope of medical practiseDeclaration of Helisinki (Revised in 1975)Clinical research and human experimentationDeclaration of Tokyo (1975)Doctors approach to torture and other inhuman cruel degrading treatment or punishment in relation to detention or imprisonmentDeclaration of Oslo (1970)o Deals with Abortiono It is a clear example of possibility of codes of conduct based not on absolute values but on consensus opinion changing with time.